Chickenpox -a) Is commonly seen in a congenital formb) May be severe in a newborn child infected by the mother in late pregnancyc) Affects the limbs more than the trunkd) May cause pneumonitise) Should be treated by intravenous vidarabine when there is evidence of hepatitis
1. c
2. bd
3. ab
4. ac

Correct answer: 2. bd